Active management of 3rd stage of labour is most helpful in prevention of -
1. Atonic PPH
2. Secondary PPH
3. Uterine inertia
4. APH

Correct answer: 1. Atonic PPH

Explanation: Ans. is A Active management of 3rd stage of labour o The underlying principle in active management is to excite powerful uterine contractions within one minute of the delivery of the baby by giving parenteral oxytocin. o Active management of third stage of labour consists of interventions designed to speed the delivery of the placenta by increasing uterine contractions to prevent PPH by averting uterine atony. Advantages o Minimises the blood loss in 3rd stage of labour approximately by I /5th o Shorten the duration of 3rf stage to half Disadvantage o Increased incidence of retained placenta (1-2%)